Zinc oxide eugenol cement- type IV is used as:
1. Temporary material
2. Long term luting agent for fixed prosthesis
3. A base or a temporary filling
4. An intermediate restoration

Correct answer: 4. An intermediate restoration

Explanation: Zinc oxide−eugenol (ZOE) cement—A cement that is based on the reaction between zinc oxide and eugenol, formulated for use in 4 types.

Type I - Temporary material
Type II - Long-term luting agent for fixed prostheses
Type III - Base or a temporary filling
Type IV - Iintermediate restoration

f: Phillip’s Science of Dental Materials ed 12 pg 309